Which of the following is the most severe form of Scabies?
1. Norwegian scabies
2. Nodular scabies
3. Animal scabies
4. Genital scabies

Correct answer: 1. Norwegian scabies

Explanation: Ans. A. Norwegian scabies* Norwegian/crusted scabies is the most severe form of Scabies.* The elderly, disabled, and people with an impaired immune system, such as HIV, cancer, or those on immunosuppressive medications, are susceptible to crusted scabies.* The mites in crusted scabies are not more virulent than in non-crusted scabies; however, they are much more numerous (up to 2 million).* Large warty crusts form on the hands and feet, and the palms and soles may become irregularly thickened and fissured. Usually it is not associated with itching.* The nail apparatus is frequently affected, with masses of horny debris accumulating beneath thickened and discolored nails.